Slowest conduction is seen in the following part of the cardiac conducting system:
1. SA node
2. Purkinje fibres
3. AV node
4. Bundle of his

Correct answer: 3. AV node

Explanation: Depolarization initiated in the SA node spreads radially through the atria, then converges on the AV node. Atrial depolarization is complete in about 0.1 s. Because conduction in the AV node is slow, a delay of about 0.1 s (AV nodal delay) occurs before excitation spreads to the ventricles. This delay is shortened by stimulation of the sympathetic nerves to the heart and lengthened by stimulation of the vagi. From the top of the septum, the wave of depolarization spreads in the rapidly conducting Purkinje fibers to all parts of the ventricles in 0.08-0.1 s. Ref: Barrett K.E., Barman S.M., Boitano S., Brooks H.L. (2012). Chapter 29. Origin of the Heartbeat & the Electrical Activity of the Heart. In K.E. Barrett, S.M. Barman, S. Boitano, H.L. Brooks (Eds), Ganong's Review of Medical Physiology, 24e.